Drug not used in the treatment of H.pylori is?
1. Cisapride
2. Clarithromycin
3. Metronidazole
4. Omeprazole

Correct answer: 1. Cisapride

Explanation: ANSWER: (A) CisaprideREF: Harrison 17th ed table 144-2Recommended Treatment Regimens for Helicobacter pylori:First-Line Treatment:Regimen 1: OCA (7-14 days)Omeprazoleb (20 mg bid)Clarithromycin (500 mg bidAmoxicillin (1 g bid)Regimen 2: OCM (7-14 days)Omeprazoleb (20 mg bid)Clarithromycin (500 mg bid)Metronidazole (500 mg bid)Second-Line Treatment:Regimen 3: OBTM (14 days)Omeprazoleb (20 mg bid)Bismuth subsalicylate (2 tabs qid)Tetracycline HC1 (500 mg qid)Metronidazole (500 mg tid)